Most common and best gas for laparoscopy:
1. CO2
2. N2
3. Air
4. O2

Correct answer: 1. CO2

Explanation: Ans: a (CO2) Ref:Bailey, 24th ed,p. 107CO is the gas used to create pneumoperitoneumMethods for creating pneumoperitoneum-Open- more cumbersome, but more efficientClosed- blind puncture"It was desirable that intraabdominal pressure should be between 12-14 mm Hg and should never be allowed to exceed 20 mm Hg.- (Ajay Yadav, p. 168).